The type of hypoxia present in high altitude is:
1. Anemic Hypoxia
2. Hypoxic Hypoxia
3. Stagnant Hypoxia
4. Histotoxic Hypoxia

Correct answer: 2. Hypoxic Hypoxia